Muscle which is not attached to the coracoid process
1. Coracobranchialis
2. Short head of biceps
3. Long head of biceps
4. Pectoralis minor

Correct answer: 3. Long head of biceps

Explanation: Long head of biceps attach to the supra glenoid tubercle. All other muscles are attached to coracoid process. B D Chaurasia 7th edition Page no: 9